Which of the following skeletal muscle is relaxed first by Tubocurarine
1. Respiratory
2. Fingers
3. Limbs
4. Head and neck

Correct answer: 2. Fingers

Explanation: Refer KDT 7/e p350 Tubocurarine is a non depolarising muscle relaxant. The order of relaxation of muscles with NMDR like d-Tubocurarine Fingers, eye,,limbs, neck, trunk, respiration